509 IPC deals with
1. Public nuisance under alcohol influence
2. Inquest
3. Exhibitionism
4. Act intended to insult the modesty

Correct answer: 4. Act intended to insult the modesty

Explanation: S. 509, I.P.C.: Whoever intending to insult the modesty of any woman, utters any word, makes any sound or gesture, or exhibits any object, or intrudes upon the privacy of such woman, shall be punished with simple imprisonment up to 3 years and also fine.